A recurrent Chalazion should be subjected to histopathologic evaluation to exclude the possibility of-
1. Squamous cell carcinoma
2. Sebaceous cell carcinoma
3. Malignant melanoma
4. Basal cell carcinoma

Correct answer: 2. Sebaceous cell carcinoma

Explanation: *A recurrent Chalazion in old age should arouse suspicion of malignant change into meibomian gland adenocarcinoma (Sebaceous cell carcinoma). Ref: Kanski 5th/e p.13